The following modes of ventilation may be used for weaning off patients from mechanical ventilation except –
1. Controlled mechanical ventilation (CMV)
2. Synchronized intermittent mandatory ventilation (SIMV)
3. Pressure support ventilation (PSV)
4. Assist–control ventilation (ACV)

Correct answer: 1. Controlled mechanical ventilation (CMV)

Explanation: It is possible to wean patient in any mode of ventilation except control mode ventilation.